Memory impairment occurs in embolism of posterior cerebral artery because of damage to -
1. Hipppocampal gyrus
2. Superior temporal gyrus
3. Prefrontal gyrus
4. Angular gyrus

Correct answer: 1. Hipppocampal gyrus